In formal ether concentration technique, which layer contain parasites -
1. Ether
2. Fecal debris
3. Formal water
4. Sediment

Correct answer: 4. Sediment